All of the following are Eradicable disease except
1. Tuberculosis
2. Guinea worm
3. Polio
4. Measles

Correct answer: 1. Tuberculosis

Explanation: Till date only one disease has been eradicated - SMALLPOX. Diseases that are amenable to eradication are measles, diphtheria, polio and guniea worm. Ref : Park's Textbook of Preventive and Social Medicine; 23rd edition; Page 94